Insal-Salvati index is used for ?
1. Olecranon
2. Patella
3. Talus
4. Scaphoid

Correct answer: 2. Patella

Explanation: Ans. is 'b' i.e., Patella Two radiological indices are commonly used for determining the position of patella - Insall-Salvati index It is the ratio of patellar tendon length to patella length. Normally it is 1-0. An index of 1.2 or more is seen in patella alta (high riding patella). An index of 0.8 or less is seen in patella baja (low lying patella). Blackbume-Peel lindex It is the ratio of (i) the distance of tibial plateau to inferior articular surface of patella (numerator), to (ii) length of articular surface of patella (denominator). Normally it is 0.8. An index of 1 or more is seen in patella alta.